Line of surgical divison of the lobes of the liver is -
1. Falciform ligament to the diaphragm
2. Gall bladder bed to IVC
3. Gall bladder bed to the Lt crus of diaphragm
4. One inch to the left of falciform ligament to the IVC

Correct answer: 2. Gall bladder bed to IVC